What percentage of cold thyroid nodules are malignant
1. 70-80%
2. 50-60%
3. 40-50%
4. 10-20%

Correct answer: 4. 10-20%

Explanation: Ans. is 'd' i.e. 10-20%